The most common complication seen in hiatus hernia is
1. Volvulus
2. Esophagitis
3. Esophageal stricture
4. Aspiration pneumonitis

Correct answer: 2. Esophagitis